All are true about thoracic duct except-
1. Begins as continuation of cisterna chyli
2. Passes through the esophageal opening
3. Ends into junction between left subclavian and internal jugular vein
4. Largest lymphatic vessel

Correct answer: 2. Passes through the esophageal opening

Explanation: Thoracic duct pierces the diaphragm and passes to posterior mediastinum through aortic opening.